In Citric acid cycle, which enzyme is inhibited by arsenite?
1. Isocitrate Dehydrogenase
2. a ketoglutarate Dehydrogenase
3. Succinate Dehydrogenase
4. Aconitase

Correct answer: 2. a ketoglutarate Dehydrogenase

Explanation: Ans. is 'b' i.e., a ketoglutarate DehydrogenaseArsenite binds to the sulfhydryl group and hence inhibits the activity of enzymes which have lipoamide in the active site, Hence Arsenite inhibits Pyruvate Dehydrogenase and a ketoglutarate dehydrogenase of citric acid cycle, It is an example for non competitive inhibition, Succinate dehydrogenase is inhibited by malonate.